Post-evacuation surveillance of molar pregnancy is done using
1. AFP
2. b-hCG
3. LDH
4. CA 125

Correct answer: 2. b-hCG

Explanation: Close biochemical surveillance for persistent gestational neoplasia should follow hydatidiform mole evacuation.Trophoblast produce human chorionic gonadotropin (hCG), thus the measurement of this peptide hormone in serum is essential for GTD diagnosis, management, and surveillance. The initial b-hCG level is obtained within 48 hours after evacuation. This serves as the baseline, which is compared with b-hCG quantification done thereafter every 1 to 2 weeks until levels progressively decline to become undetectable.The median time for such resolution is 7 weeks for partial moles and 9 weeks for complete molesOnce b-hCG is undetectable, this is confirmed with monthly determinations for another 6 months.Reference: William's Obstetrics; 25th edition, chapter 20; Gestational trophoblastic diseases